Renal Pathology in SLE includes all except
1. Focal Glomerulunephritis
2. Diffuse Glomerulonehpritis
3. Diffuse membrane glomerulonephritis
4. Lipid nephrosis

Correct answer: 4. Lipid nephrosis

Explanation: Refer Robbins 9/e p929